Normal hearing:
1. 20-20,000 hz
2. 30 - 30,000 hz
3. 200-2000 hz
4. 300 - 3000 hz

Correct answer: 1. 20-20,000 hz

Explanation: Ans. (a) 20 - 20,000lizRef: Dhingrays ENT 6th ed./14-15* Normal hearing capacity is from 20 Hz to 20,000 Hz.* Function of hearing is by cochlea, which has 2 ends broadly. Apex and Base. Apex is for low frequency sound (20 Hz) and Base is for high frequency sound (20,000 Hz).